Anti obesity drug withdrawn due to psychiatric side effect -
1. Rimonabant
2. Orlistat
3. Bupropion
4. Sibutramine

Correct answer: 1. Rimonabant

Explanation: Rimonabant is an anorectic anti-obesity drug produced and marketed by Sanofi-Aventis. It is an inverse agonist for the cannabinoid receptor CB1. Its main avenue of effect is reduction in appetite. Rimonabant is the first selective CB1 receptor blocker to be approved for use anywhere in the world. Rimonabant is approved in 38 countries including the E.U., Mexico, and Brazil. It was rejected for approval for use in the United States. This decision was made after a U.S. advisory panel recommended the medicine not be approved because it may increase suicidal thinking and depression. Ref - Davidson 23rd edition pg 1337